Annular herald patch is seen in –
1. Psoriasis
2. P. alba
3. P. rosea
4. Nocardiasis

Correct answer: 3. P. rosea

Explanation: Mother patch or Herald patch is characteristic of P. rosea.